The capsule of Cryptococcus neoformans in a CSF sample is seen by
1. Grams stain
2. India ink preparation
3. Giemsa stain
4. Methanamine - Silver stain

Correct answer: 2. India ink preparation

Explanation: (B) India ink preparation > In unstained, wet preparation of CSF with a drop of Indian ink or nigrosine, the capsule can be seen as a clear halo around the yeast cell. This is an example of negative staining.# Diagnosis of cryptococcus is established by demonstration of capsulated, budding yeast cells in the lesions and by culture.> Capsules stand out in India ink preparations.> Fungus grows readily on Sabouraud's agar forming smooth, mucoid, cream coloured colonies.